In glycolysis, the first commited step is catalysed by :
1. 2 ,3 DPG
2. Glucokinase
3. Hexokinase
4. Phosphofructokinase.

Correct answer: 4. Phosphofructokinase.

Explanation: D i.e. Phosphofructokinase